Thiazide cause -
1. Metabolic alkalosis
2. Metabolic acidosis
3. Respiratory alkalosis
4. Respiratory acidosis

Correct answer: 1. Metabolic alkalosis

Explanation: Ans. is 'a' i.e., Metabolic alkalosis Loop diuretics & thiazides cause metabolic alkalosis. Carbonic anhydrase inhibitors & potassium sparing diuretics cause metabolic acidosis.